Cobblestone appearance of the conjunctiva is typically seen with –
1. Phlyctenular conjunctivitis
2. Foreign body
3. Spring catarrh
4. Trachoma

Correct answer: 3. Spring catarrh

Explanation: Cobble-stone or pavement stone appearance is seen in spring catarrh.